The liver removes LDLs in the blood by the LDLs binding to
1. LDL receptors and then internalizing them
2. HDL receptors and then internalizing them
3. The albumin present on LDLs and then internalizing them
4. The transferrin present on LDL and then internalizing them

Correct answer: 1. LDL receptors and then internalizing them